All of the following drugs are useful in nephrogenic diabetes insipidus except
1. Amiloride
2. Indomethacin
3. Chlorpropamide
4. Thiazide diuretics

Correct answer: 3. Chlorpropamide

Explanation: The polyuria and polydipsia of nephrogenic DI are not affected by treatment with standard doses of DDAVP. Treatment with conventional doses of a thiazide diuretic and/or amiloride in conjunction with a low-sodium diet and a prostaglandin synthesis inhibitor (e.g., indomethacin) usually reduces the polyuria and polydipsia by 30-70% and may eliminate them completely in some patients. ref : Harrisons 20th ed 2279.